Replacing alanine by which amino acid will increase UV absorbance of protein at 280nm wavelength:
1. Leucine
2. Proline
3. Arginine
4. Tryptophan

Correct answer: 4. Tryptophan

Explanation: Tryptophan